Function of a microtubule is/are:
1. Strength of cell skeleton
2. Base for cilia arising from the cell
3. Movements of cytoplasm within the cell
4. All of the above

Correct answer: 4. All of the above